Which of the following artery is a direct branch of abdominal aorta
1. Superior suprarenal artery
2. External iliac artery
3. Internal iliac artery
4. Testicular artery

Correct answer: 4. Testicular artery

Explanation: Abdominal aorta branches- - Gonadal arteries ( testicular artery) Superior supra renal artery is a branch of inferior phrenic arteries. All other branches of abdominal aorta are given in treasure attached.